Gene of Wilsons disease is:
1. ATP 7A
2. ATP 7B
3. ADP 7A
4. ADP 7B

Correct answer: 2. ATP 7B

Explanation: Gene Disease ATP 7Agene Menke disease ATP 7B gene Wilson's disease